All are true about hypospadias, except:
1. Circumcision in infancy is contraindicated
2. Avoid surgery till puberty
3. No treatment required in glandular variety
4. If associated chordee is present, 2 stage operation is done

Correct answer: 2. Avoid surgery till puberty

Explanation: Ans. (b) Avoid surgery till puberty* Surgery ideal age- 6 months to 1 year* Chordee 2 stage operation is known as Dennis Browne operation is done. First chordee is released. In 2nd stage we correct the opening.